The following statements are true regarding melioidosis except -
1. It is caused by Burkholderia mallei
2. The agent is a gram negative aerobic bacteria
3. Bipolar staining of the aetiological agent is seen with methylene blue stain.
4. The most common form of melioidosis is pulmonary infection

Correct answer: 1. It is caused by Burkholderia mallei

Explanation: B.mallei causes glanders and farcy
B. pseudomallei: Causative agent of melidiosis (Glanders like disease)

- Motile and Zoonotic - rodents
- Humans: Produces pulmonary infections like TB (MC), Multiple abscesses, LN↑